All are scoring system used in liver transplant except:-
1. CTP
2. MEGX
3. MELD
4. MPI

Correct answer: 4. MPI

Explanation: Child-Turcotte-Pugh (CTP) score, Model for End Stage Liver Disease (MELD) score & Pediatric End Stage Liver Disease (PELD) MEGX(Monoethylglycinexylidine ) score are used in liver transplantation. The MELD score is based on bilirubin and creatinine levels and the international normalized ratio (INR). Pediatric donor livers are distributed to pediatric patients preferentially. The scoring used in pediatric patients is referred to as the pediatric end-stage liver disease (PELD) score. The MEGX is rapid and simple test which can assess the function of liver and widely used for liver transplantation in critical care medicines